Gluten free diet is used in
1. Celiac disease
2. Tropical sprue
3. Ulcerative colitis
4. Irritable bowel syndrome

Correct answer: 1. Celiac disease

Explanation: Coeliac Sprue (Non-tropical Sprue, Gluten-Sensitive Enteropathy, Idiopathic Steatorrhoea) This is the most important cause of primary malabsorption occurring in temperate climates. The condition is characterised by significant loss of villi in the small intestine and thence diminished absorptive surface area. The condition occurs in 2 forms: Childhood form, seen in infants and children and is commonly referred to as coeliac disease. Adult form, seen in adolescents and early adult life and used to be called idiopathic steatorrhoea. In either case, there is genetic abnormality resulting in sensitivity to gluten (a protein) and its derivative, gliadin, present in diets such as grains of wheat, barley and rye. Serum antibodies--IgA antigliadin and IgA antiendomysial, have been found but is not known whether these antibodies are primary or appear secondary to tissue damage. TEXTBOOK OF PATHOLOGY 6TH EDITION HARSH MOHAN PAGE NO:575